Russell's body is found in -
1. WBC
2. RBC
3. Mast cell
4. Plasma cell

Correct answer: 4. Plasma cell